Child not eating vegetables. His mother starts giving a chocolate each time he finishes vegetables in the diet. The condition is
1. Operant conditioning
2. Classical conditioning
3. Social training
4. Negative reinforcement

Correct answer: 1. Operant conditioning

Explanation: Ans. a. Operant conditioning